Kwashiorkar is diagnosed in growth retarded children along with-
1. Edema and mental changes
2. Hypopigmentation and anemia
3. Edema and hypopigmentation
4. hepatomegaly and anemia

Correct answer: 1. Edema and mental changes

Explanation: Ans. is 'a' i.e., Edema and mental changes o Protein energy malnutrition ( PEM) is a spectrum of conditions ranging from mild undernutrition of extreme forms of malnutrition, i.e. Marasmus and Kwashiorkor. o Most of the child suffer from mild to moderate nutritional deficit and extreme forms (marasmus and kwashiorkor) account only for a small proportion of cases of malnutrition. 1. Mild to moderate malnutrition If the dietry intake is deficient for a short period, the body adapts its metabolism to compensate for the deficit to some extent. Moderately malnourished children appear more slow and less energetic. Growth lag is more pronounced in weight than the length. Head circumference is not reduced significantly. 2. Marasmus Marasmus is characterized by gross wasting of muscles and subcutaneous tissues resulting in emaciation, marked stunting and no edema. 3. Kwashiorkor Classical triad of kwashiorkor is markedly retarded growth, psychomotor (mental) changes and edema.